Not true about deep cervical lymph nodes
1. Lie along external jugular vein
2. Tonsil is drained by jugulodigastric nodes
3. Lie deep to sternocleidomastoid
4. Tongue drains into juguloomastoid

Correct answer: 1. Lie along external jugular vein

Explanation: The deep cervical lymph nodes are situated along the internal jugular vein, and include the jugulodigastric node below the posterior belly of the digastric and the jugulo-omohyoid node above the inferior belly of the omohyoid Ref : B D Chaurasia's Human Anatomy, seventh edition, volume 3 , pg. no. 100 ( fig. 8.28 - pg. no. 162 )